Sanitary toilets can decrease incidence of all except
1. Diarrhoea
2. Poliomyelitis
3. Malaria
4. Cholera

Correct answer: 3. Malaria

Explanation: Diarrhea, Poliomyelitis, and cholera are transmitted by faeco-oral route Malaria is a vector-borne disease transmitted by Anopheles mosquito. Hence sanitary toilets and hand washing practices cannot prevent Malaria. Park's Textbook of Preventive and Social Medicine, 25th Edition, Pg 831